All of the following are true about ear ossicles except -
1. Give the eardrum mechanical advantage via lever action
2. Transmit vibrations from tympanic membrane to inner ear
3. The muscles are highly developed like in bats for echolocation.
4. Are controlled by muscles as part of the acoustic reflex

Correct answer: 3. The muscles are highly developed like in bats for echolocation.

Explanation: Ans. is 'c' i.e.. The muscles are highly developed like in bats for echotocation Functions of the middle ear:It transmits sound waves from the external ear to the internal ear through the chain of ear ossicles and thus transforms the air-borne vibrations from the tympanic membrane to liquid-borne vibrations in the internal ear.The intensity of the sound waves is increased ten times by the ossicles. It may be noted that the frequency of sound does not change.3. The ossicles give the eardrum mechanical advantage via lever action and a reduction in the area of force distribution; the resulting vibrations would be much smaller if the sound waves were transmitted directly from the outer ear to the oval window. However, the extent of the movements of the ossicles is controlled (and constricted) by certain muscles attached to them (the tensor tympani and the stapedius). It is believed that these muscles can contract to dampen the vibration of the ossicles, in order to protect the inner ear from excessively loud noise. These muscles are more highly developed in bats and serve to block outgoing cries of the bats during echo location (SONAR).o The ossicles are, in order from the eardrum to the inner ear (from superficial to deep): the malleus, incus, and stapes. Terms that, in Latin, are translated as the hammer, the anvil, and the stirrup.The malleus (hammer) articulates with the incus through the incudomalleolar joint and is attached to the tympanic membrane (eardrum), from which vibrational sound pressure motion is passed.The incus (anvil) is connected to both the other bones.The stapes (stirrup) articulates with the incus through the incudostapedial joint and is attached to the membrane of the fenestra ovalis, the elliptical or oval window or opening between the middle ear and the vestibule of the inner ear. It is the smallest bone in the body.